Colon carcinogenesis is associated with all except
1. APC
2. kRAS
3. B-catenin
4. None

Correct answer: 4. None

Explanation: Etiology & Risk factors of Ca Colon 1)DIETARY FACTORS Low intake of dietary fibres High intake of carbohydrates and fat Diet deficient of cruciferous vegetables and vitamin A 2) PROTECTIVE EFFECT OF ASPIRIN 3) HNPCC 4) RISK FACTORS- age above 50, family history of colonic cancer, prior colorectal cancer, inflammatory bowel disorders, physical inactivity, smoking, alcohol consumption 5) GENETIC PATHWAY APC-beta catenin pathway K-RAS mutation SMAD2 and SMAD4 mutation Mutation of p53 Activation of telomerase Microsatellite instability pathway GENERAL AND SYSTEMIC PATHOLOGY RAMDAS NAYAK FIRST EDITION PAGE: 418,419